All of the following drugs are protease inhibitors, EXCEPT:
1. Nelfinavir
2. Saquinavir
3. Abacavir
4. Ritonavir

Correct answer: 3. Abacavir

Explanation: Abacavir is nucleoside reverse transcriptase inhibitor and not a protease inhibitor. Nelfinovir, Titonavir and Saquinavir are all protease inhibitor. Ref: Antiretroviral Therapy By Erik De Clercq, 2001, Page 147 ; Harrison's Principles of Internal Medicine, Pages 1124, 1126.